Amsterdam criteria includes all except:
1. At least three relatives should be affected
2. All the three should be first degree relative
3. Two successive generations affected
4. FAP excluded

Correct answer: 2. All the three should be first degree relative

Explanation: REVISED AMSTERDAM CRITERIA The revised Amsterdam criteria are used to select at-risk patients ( all criteria must apply). Criteria Three or more relatives who are diagnosed with an HNPCC-associated cancer (colorectal, endometrium, small bowel, ureter,or renal pelvis) in which one affected person is a first-degree relative of the other two. At least two successive generations are affected One or more cases of cancer are diagnosed before age 50 years FAP has been excluded, and tumors have undergone pathology review The Bethesda guidelines are established to direct patient selection for MSI testing